Subcapsular orchiectomy is done for cancer of ?
1. Testes
2. Prostate
3. Penis
4. Urethra

Correct answer: 2. Prostate

Explanation: Ans. is 'b' i.e., Prostate